Rule of 9 burns is used to denote -
1. Depth of burns
2. % of total body surface area
3. Severity of burns
4. Type of burns

Correct answer: 2. % of total body surface area

Explanation: RULE OF NINE: The estimation of the surface area of the body involved is usually worked out by the rule of nine. It is applied for adults. REF: The Synopsis of the Forensic Medicine and Toxicology 29th edition page no: 160.